X-ray showing double-bubble sign in -
1. Osophageal atresia
2. Pyloric stenosis
3. Duodenal atresia
4. Colonic atresia

Correct answer: 3. Duodenal atresia

Explanation: Ans. is 'c' i.e. Duodenal atresia Condition in which double bubble appearance in seen -Duodenal atresia *Duodenal stenosis*Annular pancreas * Double bubble appearance or double stomach appearance is seen because of gross dilatation of the stomach and upper part of the duodenum with two-air fluid levels.Also knowSingle bubble appearance is seen in - Pyloric stenosis*